Rash with Retro-auricular origin is typically seen in,
1. Rubella
2. Rubeola
3. Chicken pox
4. Mumps

Correct answer: 2. Rubeola

Explanation: Rubeola / Measles